Cause of "bloody" vomitus in a neonate -
1. Meckel's diverticulum
2. Intussusception
3. Malrotation
4. None

Correct answer: 4. None

Explanation: Ans. is None Causes of bloody vomitus in neonates --> Stress gastritis, Hemarrhagic disease of newborn, Swallowed maternal blood